Which of the following is a radioactive substance?
1. Bromide
2. P32
3. C13
4. I127

Correct answer: 2. P32

Explanation: P-32 is a radio-active substance. It is a beta emitter with a half-life of 14 days. It is used for systemic radiotherapy of Polycythemia Vera. I-127 is a normal iodine and it is not a radio-active substance